ST elevation is seen in all of the following conditions except :
1. Myocardial infarction
2. Coronary artery spasm
3. Constrictive pericarditis
4. Ventricular aneurysm

Correct answer: 3. Constrictive pericarditis

Explanation: Answer is C (Constrictive pericarditis) ST segment is measured from the end of QRS complex to the beginning of the T wave, and represents the time interval between ventricular depolarization and repolarization.